What is the pressure at which oxygen is stored ?
1. 75 psi
2. 1600 psi
3. 760 psi
4. 2200 psi

Correct answer: 4. 2200 psi

Explanation: Oxygen is stored at a pressure of 1900psi